In which of the following forms of pulmonary carcinoma is the classic progression of metaplasia to dysplasia to carcinoma in situ observed
1. Small-cell carcinoma
2. Adenocarcinoma
3. Large-cell carcinoma
4. Squamous cell carcinoma

Correct answer: 4. Squamous cell carcinoma

Explanation: All stages from squamous metaplasia to carcinoma in situ are observed in squamous cell carcinoma. Such a clear progression is not seen in the other forms of cancer listed.